Effect of oral contraceptive pills is inhibited by :
1. Rifampicin
2. Cimetidine
3. Ethambutol
4. Propranolol

Correct answer: 1. Rifampicin

Explanation: Ans. is 'a' i.e. Rifampicin